The chemical used to stop ATP synthesis is?
1. DNSA ( di nitro salicylic acid )
2. 2,4 di nitro phenol
3. DDT
4. No chemical can stop ATP synthesis

Correct answer: 2. 2,4 di nitro phenol

Explanation: DNSA / DNS is used for quantifying carbohydrate levels in the blood. It is mainly used in an assay of alpha-amylase. 2,4-Dinitrophenol / DNP is yellow, crystalline solid that has a sweet, musty odour & is volatile with steam. It inhibits energy (adenosine triphosphate, ATP) production in cells with mitochondria. Dichlorodiphenyltrichloroethane, commonly known as DDT, is a colourless, tasteless, and almost odourless crystalline chemical compound, an organochlorine, originally developed as an insecticide & is a risk for hepatocellular cancer Ref: Biochemistry by U. Satyanarayana 3rd edition Pgno : 223